A 30-year-old male presented with painful, deep recurrent oral aphthous ulcers. O/E ulcers had a yellowish necrotic base and appeared in crops, painful genital ulcers and skin lesions were also seen. A test was also done by the doctor wherein he injected normal saline intradermally. On ophthalmoscopic examination, B/L panuveitis was noted. Patient also complained of arthralgia in B/L knee joint. Lab findings revealed leukocytosis, raised ESR and raised CRP. Which of the following antibodies can be seen in the above condition: - ASCA Ab ANCA Ab Ab against ALPHA-ENOLASE Ab against selenium binding protein Anti-histone Ab
1. 1, 2 and 5
2. 1, 3 and 5
3. 1, 3 and 4
4. 2, 3 and 4

Correct answer: 3. 1, 3 and 4

Explanation: This is a case of Behcet's disease. 1st image shows and pyoderma gangrenosum. 2nd image shows erythema nodosum. Behcet's syndrome It is a multisystem disorder presenting with recurrent oral and genital ulcerations as well as ocular involvement. ASCA Ab, Ab against alpha enolase, Ab against selenium binding protein are seen. Pathergy test is positive. Skin lesions such as erythema nodosum, pyoderma gangrenosum, maculopapular rash etc.